Pollicization is best described as
1. Amputation of thumb
2. Equalization of fingers
3. Toe to thumb transplantation
4. Reconstruction of thumb

Correct answer: 4. Reconstruction of thumb

Explanation: • Reconstruction of thumb is called pollicization. Typically this Consists of surgically migrating the index finger to
the position of the thumb
• During pollicization the index finger metacarpal bone is cut and the finger is rotated approximately 120—160 degrees and replaced at the base of the hand at the usual position of the thumb
• The arteries and veins are left attached.
Amputated digits should be well washed with saline and wrapped in STERILE GAUZE soaked in STERILE SALINE or RL and put in STERILE plastic bag & put in an CONTAINER with ICE(digits should not be in direct contact with ICE).
TRANSPORT :   room temperature 6 hrs and at 4 deg C for 12 hrs
The vessels SHOULD NOT be clamped but SECURED with pressure DRESSING only.